Ludwig's Angina spreads by
1. Lymphatics
2. Vascular route
3. Contiguity via fascial planes
4. Both Lymphatics and blood vessels

Correct answer: 3. Contiguity via fascial planes

Explanation: Spread of Ludwig's Angina is via fascial planes in continuity and not by Lymphatics.